Deoxigenated Blood is carried by all except:
1. Pulmonary Artery
2. Umbilical Vein
3. Right ventricle
4. Umbilical Art

Correct answer: 2. Umbilical Vein

Explanation: B i.e. Umbilical Vein - Umblical vein and pulmonary veins carry oxygenated bloodQ. Whereas umbilical and pulmonary arteries carry deoxygenated bloodQ. - Deoxygenated blood (with 62% 02 saturation) leave umbilical arteries to be oxygenated at placenta whereas, umbilical veins carry oxygenated blood from the placenta with Hb02 saturation of - 80% (as compared to 98% saturation in adults arterial circulation). - Right ventricle pump deoxygenated blood through pulmonary artery into pulmonary capillaries where it is oxygenated. And then oxygenated blood is carried through pulmonary veins to left atrium.